Which of the following is barrier contraception?
1. Male sterilization
2. Female sterilization
3. Spermicidal jelly
4. Natural

Correct answer: 3. Spermicidal jelly

Explanation: Ans: c (Spermicidal jelly) Ref: Park, 19th ed, p. 393The aim of barrier method is to prevent live sperm from meeting the ovum. It includes:Physical methods:a) Condomb) Female condomc) Diaphragmd) Vaginal spongeChemical methods: (Spermicidal)Foams, creams, jellies, suppositories, soluble filmsCombined methods:Condom is the most widely used barrier device by the males around the world. It can be highly effective method of contraception if used correctly. An important advantage is that it protects against STDs also.Sterilization is the permanent method of contraception.